Tennis player can spontaneously reduce a shoulder dislocation. He can do it again and again himself. He is suffering from?
1. Acute shoulder dislocation
2. Recurrent shoulder dislocation
3. Inferior shoulder dislocation
4. Fracture upper end humerus

Correct answer: 2. Recurrent shoulder dislocation

Explanation: Most common shoulder dislocation is Anterior type of shoulder dislocation which accounts for 95%. Since, it was mentioned that the player can reduce the dislocation "again and again", it could be a habitual type of dislocation which is recurrent. Acute shoulder dislocations are very painful which cannot be reduced or relocated again and again. Inferior type of shoulder dislocation usually presents with a characteristic"salute position" hence can be excluded.